Mantle cell lymphomas are positive for all of the following except-
1. CD23
2. CD20
3. CD5
4. Cyclin D1

Correct answer: 1. CD23

Explanation: Ans. is 'a' i.e., CD-23